Which of the following nerve supplies most of the intrinsic laryngeal muscles?
1. Internal laryngeal nerve
2. External laryngeal nerve
3. Recurrent laryngeal nerve
4. Inferior laryngeal nerve

Correct answer: 3. Recurrent laryngeal nerve

Explanation: All intrinsic muscles of larynx are supplied by recurrent laryngeal nerves except cricothyroid which is supplied by external laryngeal nerve a branch of superior laryngeal nerve. Intrinsic muscles of Larynx: ? Muscles that increase or decrease length of vocal cord: ? Cricothyroid ? Posterior cricoarytenoid ? Thyroarytenoid ? Vocalis ? Muscles that adduct/abduct vocal cords: ? Posterior cricoarytenoid ? Lateral cricoarytenoid ? Transverse cricoarytenoid ? Muscles that open/close laryngeal inlet: ? Thyroepiglottic ? Aryepiglottic ? Oblique part of interarytenoids